Colostrum contains all of the following in excess of milk, EXCEPT:
1. Protein
2. Fat
3. Minerals
4. Immunoglobulins

Correct answer: 2. Fat

Explanation: Compared with mature milk, colostrum contains more minerals and amino acids. It also has more protein, much of which is globulin, but less sugar and fat. It also contains antibodies, and its content of immunoglobulin A (IgA) offers the newborn protection against enteric pathogens. Other host resistance factors found in colostrum and milk include complement, macrophages, lymphocytes, lactoferrin, lactoperoxidase, and lysozymes. Ref: Barrett K.E., Barman S.M., Boitano S., Brooks H.L. (2012). Chapter 22. Reproductive Development & Function of the Female Reproductive System. In K.E. Barrett, S.M. Barman, S. Boitano, H.L. Brooks (Eds), Ganong's Review of Medical Physiology, 24e.